Pacemaker regulating the rate of respiration is
1. Pneumotaxic centre
2. Nucleus tractus solitarius
3. Apneustic centre
4. Pre-Botzinger complex

Correct answer: 4. Pre-Botzinger complex

Explanation: Pre-Botzinger complex initiates the respiratory rhythm, consists of six group of neurons that functions as "central pattern generator " for initiation of respiration. Located in the ventrolateral medulla. Ref: Ganong 25th ed/page 655